Medulla oblongata arises from ?
1. Prosencephalon
2. Rhombencephalon
3. Mesencephalon
4. None

Correct answer: 2. Rhombencephalon

Explanation: Ans. is 'b' i.e., RhombencephalonMedulla oblongata is derived from Hind brain (rhaombencephalon).